The addition of hyaluronidase to a local anesthetic solution might
1. Increase the duration of anesthesia
2. Limit the area of anesthesia
3. Reduce bleeding
4. Enhance diffusion of local anesthetic

Correct answer: 4. Enhance diffusion of local anesthetic